Thin limbs, central obesity, fat cheeks, a ruddy complexion, and an elevated blood glucose level.
1. Elevated blood levels of aldosterone and renin resulting from an atherosclerotic plaque in a renal artery.
2. Hyperprolactinemia due to a pituitary tumor.
3. Acromegaly due to a GH-producing tumor that developed in adulthood.
4. Cushing syndrome due to an adrenal tumor.

Correct answer: 4. Cushing syndrome due to an adrenal tumor.

Explanation: Excess production of cortisol causes muscle breakdown (hence thin limbs), fat deposition in the face and abdomen, thin skin (due to protein breakdown), and an increase in red blood cells, resulting in a red complexion. Blood glucose levels are elevated because cortisol stimulates gluconeogenesis. These symptoms do not appear due to elevated renin, aldosterone, PRL, or GH levels.